A 18 y/o girl was brought to emergency after she cut her wrist using shaving razor. The patient was found to have multiple superficial cuts and dressing was done for the same. The patient reported that she didn't have an intention to kill herself, and that 'physical pain numbs my psychological pain'. This episode was triggered by a fight with her boyfriend. Mother gave history of multiple similar episodes of self harm in the past, and history of multiple short lasting relationships in the past. Mother further said that the patient has always been a very moody person and no one can predict what she will do next? What is the psychotherapy of choice in this patient?
1. Dialectical behavioural therapy
2. Cognitive behavioural therapy
3. Behavioural therapy
4. Psychoanalysis

Correct answer: 1. Dialectical behavioural therapy

Explanation: The diagnosis of this patient is Borderline Personality Disorder(emotionally unstable PD) as she has history suggestive of deliberate- self harm (multiple wrist cuts), unstable relationships, emotional instability (very moody person) and impulsivity (no one knows what she will do next). In patients with borderline personality disorder, dialectical behavioural therapy is considered the treatment of choice.